Best way to plot the changes of incidence of disease over time is:
1. Histogram
2. Line chart
3. Scatter diagram.
4. Ogive.

Correct answer: 2. Line chart